Delayed eruption of teeth occurs in
1. Craniofacial dysostosis
2. Hyperthyroidism
3. Cleidocranial dysostosis
4. Osteitis deformans

Correct answer: 3. Cleidocranial dysostosis